Which is concerned with cell mediated immunity
1. B-Lymphocytes
2. T-Lymphocytes
3. Eosinophils
4. Monocytes

Correct answer: 2. T-Lymphocytes

Explanation: Option 1, 2, 3, 4 Cell-mediated immunity: It is mediated by both activated T helper cells and cytotoxic t cells. Cytokines secreted by Th cells activate various phagocytic cells, enabling them to phagocytose and kill microorganisms. This type of cell-mediated immune response is especially important against a host of bacterial and protozoal pathogens. CTLs play an important role in killing virus-infected cells and tumor cells. Major Functions of Cell-Mediated Immunity (T Cells) 1. Host defense against infection (especially M. tuberculosis, fungi, and virus-infected cells). 3. Graft and tumor rejection 4. Regulation of antibody response (help and suppression) Humoral immunity: B lymphocytes produces antibodies and convert into plasma cell which are responsible of immunogenic memory